Which one of the following is NOT advantage of metal denture base?
1. thermal conductivity
2. dimensional stability
3. lesser bulk
4. lesser weight

Correct answer: 4. lesser weight